In aluminum phosphide poisoning, which is NOT true:
1. Accumulation of acetylcholine at NM junction
2. Cytochrome oxidase inhibition
3. Phosphene formation
4. Metabolic acidosis

Correct answer: 1. Accumulation of acetylcholine at NM junction

Explanation: Ans. Accumulation of acetylcholine at NM junction